A 12 year old girl presents with a 0.4 cm slightly raised strawberry coloured nodule in the skin of the abdomen below the umbilicus. It is present for many years and not changed in color or size. Diagnosis
1. Carcinoma
2. Melanoma
3. Hemangioma
4. Lymphoma

Correct answer: 3. Hemangioma

Explanation: Answer: c) Hemangioma (ROBBINS 9th ED, P-516)HEMANGIOMAHemangiomas are very common tumors characterized by increased numbers of normal or abnormal vessels filled with bloodMost are present from birth and initially increase in size, but many eventually regress spontaneouslyWhile hemangiomas typically are localized lesions confined to the head and neck, they can occasionally be more extensive (angiomatosis) and can occur internally.Nearly one third of these internal lesions are found in the liverMalignant transformation is rare.Capillary hemangiomasMost common typeOccur in the skin, subcutaneous tissues, and mucous membranes of the oral cavities and lips, as well as in the liver, spleen, and kidneysJuvenile hemangiomas (strawberry type hemangiomas)Juvenile hemangiomas of the newborn are extremely common and can be multiple.These arise in the skin and grow rapidly for a few months, but then fade by 1 to 3 years of age and completely regress by age 7 in the vast majority of cases.Cavernous hemangiomasComposed of large, dilated vascular channelsAs compared to capillary hemangiomas, cavernous hemangiomas are more infiltrative, frequently involve deep structures, and do not spontaneously regress.Intravascular thrombosis and associated dystrophic calcification are common.They can be locally destructive, and as a result some may require surgery.Cavernous hemangiomas are one component of von Hippel-Lindau diseasePyogenic granulomasCapillary hemangiomas that present as rapidly growing red pedunculated lesions on the skin, gingival, or oral mucosa.They bleed easily and are often ulceratedRoughly a quarter of lesions develop after trauma, reaching a size of 1 to 2 cm within a few weeks.Curettage and cautery is usually curative.Pregnancy tumor (granuloma gravidarum) is a pyogenic granuloma that occurs infrequently (1% of patients) in the gingiva of pregnant women.These lesions may spontaneously regress (especially after pregnancy), or undergo fibrosis, but occasionally require surgical excision